Which is the most common site of peripheral aneurysm?
1. Femoral artery
2. Radial artery
3. Popliteal artery
4. Brachial artery

Correct answer: 3. Popliteal artery

Explanation: MC site of peripheral aneurysm: Popliteal aneurysm MC site of Splanchnic Aneurysm: Splenic Artery Aneurysm. MC vessel involved in aneurysm: Circle of Willis MC location of extra- cranial aneurysm: Aorta > Iliac > Popliteal > Femoral (AIPF) MC site of extra- cranial arterial aneurysm is infrarenal aorta